Wife of long route truck driver with vaginal discharge comes to STD clinic ,what is an empirical treatment:
1. Azithromycin + metronidazole + fluconazole
2. Azithromycin
3. Metronidazole +fluconazole
4. Fluconazole

Correct answer: 1. Azithromycin + metronidazole + fluconazole

Explanation: Therapy regimens for PID must provide empirical, broad-spectrum coverage of likely pathogens including N. gonorrhoeae, C. trachomatis, gram-negative facultative bacteria, anaerobes, and streptococci. Azithromycin is best used for its action against Chlamydia Metronidazole for its action against anaerobes and Bacterial vaginosis Fluconazole for its action against Candidiasis.